Cutaneous vasoconstriction is mediated by
1. Sympathetic adrenergic nerves
2. Sympathetic cholinergic nerves
3. Parasympathetic cholinergics
4. Somatic nerves

Correct answer: 1. Sympathetic adrenergic nerves

Explanation: Sympathetic noradrenergic division constricts the blood vessels of the skin(which limits bleeding from wounds). Ref: Ganong's review of medical physiology; 23rd edition; pg: 268.